Organelle having DNA is ____?
1. Mitochondria
2. Golgi complex
3. SER
4. RER

Correct answer: 1. Mitochondria

Explanation: Mitochondria - 'power houses' of cell because they synthesize high energy ATP. - Mitochondria is only organelle other than nucleus which contain DNA - Mitochondrial DNA controls the replication of mitochondria according to requirement of energy.